Reversible monoamine oxidase inbitors (MAOIs) are:
1. Nicorandil
2. Selegiline
3. Moclobemide
4. Fluphenazine

Correct answer: 3. Moclobemide

Explanation: Ans: c (Moclobemide) Ref: Ahuja, 6th ed,p. Katzung Pharmacology, 10th ed,p. 475Moclobemide is a reversible and selective MAO-A inhibitor.MAO is a mitochondrial enzyme involved in oxidative deamination of biogenic amines(Adr,NA,DA,5-HT)ADVERSE EFFECTSHeadache, drowsiness, dry mouth, weight gain, postural hypotension, sexual disturbances, interactions with tyramine containing foods.Serotonin syndrome- It is a condition precipitated when MAO inhibitors are given with serotonin agonists, especially antidepressants of the selective serotonin reuptake inhibitor class (SSRIs). It occurs when overdose with a single drug, or concurrent use of several drugs, results in excess serotonergic activity in the central nervous system .Clinical features are hypertension, hyperreflexia, tremor, clonus, hyperthermia, hyperactive bowel sounds, diarrhoea, mydriasis, agitation, coma.Classification of anti-depressants1.TRICYCLIC ANTIDEPRESSANTS (TCAS)Imipramine, Amitriptyline, Clomipramine, Nortriptyline, Mianserin, Amoxapine2. SELECTIVE SEROTONIN REUPTAKE INHIBITORS (SSRIS)Fluoxetine, Paroxetine, Fluvoxamine, Sertraline, Citalopram, Escitalopram3.SEROTONIN NOREPINEPHRINE REUPTAKE INHIBITORS (SNRIs)Venlafaxine,Duloxetine4.NOREPINEPHRINE SEROTONIN REUPTAKE ENHANCERS (NSREs)Tianeptine5.NOR ADRENERGIC AND SPECIFIC SEROTONERGIC ANTIDEPRESSANTS (NaSSA)Mirtazapine6.NOREPINEPHRINE DOPAMINE REUPTAKE INHIBITORS(NDRIs)Bupropion7.SEROTONIN ANTAGONISTS AND REUPTAKE INHIBITORS (SARIs)T razodone,Nefazodone8. NORADRENERGIC REUPTAKE INHIBITORS ( NARIs)Reboxetine9.MONOAMINE OXIDASE INHIBITORS(MAOIs)REVERSIBLE SELECTIVE MAOIsMAOI-B-Selegiline; MAOI-A- Moclobemide